A 24-year-old woman notices pain in her left arm, made worse with use. She also has fatigue, fever, night sweats, and arthralgias. On examination, there are no palpable lymph nodes, and the joints and muscle strength are normal. The left radial pulse is absent, and there is a bruit over the left subclavian and common carotid arteries. Preliminary laboratory investigations reveal an elevated ESR and mild anemia. Which of the following vascular findings is most likely to be found in her?
1. high pressure in the legs and low pressure in the arms
2. low pressure in the legs and high pressure in the arms
3. high-pitched diastolic murmur
4. a relentless course to death

Correct answer: 1. high pressure in the legs and low pressure in the arms

Explanation: High pressure in the legs and low pressure in the arms characterize Takayasu's syndrome. Clinical manifestations include easy fatigability of the arms and atrophy of the soft tissues of the face. The course is variable, and spontaneous remissions can occur. The disease predominantly affects young women.